Base of Submental triangle is formed by
1. Chin
2. Omohyoid
3. Hyoid
4. Diagastric

Correct answer: 3. Hyoid

Explanation: Boundaries of Sub Mental Triangle Apex - Symphysis Menti Base - Hyoid Bone On each side - Anterior belly of Digastric Content - Sub Mental nodes Floor - Mylohyoid